58 years old male presenting with acute onset of varicocle on left side most prbobable cause ?
1. Ca testes
2. Epididymitis
3. Inguinal lymphnodes
4. Ca kidney

Correct answer: 4. Ca kidney

Explanation: Ans. is 'd' i.e., Ca kidney